Nasal antrostomy after Caldwell-Luc operation is done in?
1. Middle meatus
2. Inferior meatus
3. Superior meatus
4. Can be done in any meatus

Correct answer: 2. Inferior meatus